A 6 years old child presents with joint pain, respiratory distress and recurrent infection, He has pallor, conjunctival hemorrhage and splenomegaly chest x- ray shows mediastinal mass. Diagnosis is
1. ALL
2. CML
3. Pulmonary metastasis
4. Sjogren syndrome

Correct answer: 1. ALL